A scientist  working in the laboratory on the mechanisms involved in inflammation. He observes that the leucocytes leave the blood vessels and move towards the site of bacteria. Which of the following is likely to mediate this movement of the bacteria?
1. C3a
2. C5a
3. Histamine
4. C3b

Correct answer: 2. C5a

Explanation: After exiting the circulation, leukocytes move in the tissues toward  the site of injury by a process called chemotaxis, which is defined as locomotion along a chemical gradient. Both exogenous and endogenous substances can act as chemoattractants, including the following:

Bacterial  products,  particularly  peptides  with  N- formylmethionine termini.
Cytokines, especially those of the chemokine family.
Components of the complement system, particularly C5a.
Products of the lipoxygenase pathway of arachidonic acid (AA) metabolism, particularly leukotriene B4 (LTB 4).

Reference-Robbins BASIC PATHOLOGY 10th edition pg-65